Which of the following is false regarding scleroma of larynx?
1. It is an acute inflammatory condition
2. It is caused by Klebsiella
3. Subglottic stenosis is a common complication
4. Treatment may include steroids

Correct answer: 1. It is an acute inflammatory condition

Explanation: It is a chronic inflammatory condition of the larynx caused by klebsiella rhinoscleromatis and treatment is with streptomycin or tetracycline often combined with steroids to prevent fibrosis.